Length of male urethra
1. 3-5 cm
2. 5-10 cm
3. 10-15 cm
4. 15-20 cm

Correct answer: 4. 15-20 cm

Explanation: The male urethra measures, on average, 18-20 cm in length. It commences at the internal urethral orifice in the trigone of the bladder and opens in the navicular fossa of the glans penis at the external urethral meatus, which is the narrowest part of the urethra. ref - BDC vol2 pg376